Triglycerides are maximum in
1. Chylomicrons
2. VLDL
3. LDL
4. HDL

Correct answer: 1. Chylomicrons

Explanation: Ans. is 'a' i.e. Chylomicrons [Ref: Chatterjee & Shinde Biochemistry 6/e, p 338 (T21.2); Harper 26/e, p 206;Maximum content of TG's is seen in - Chylomicrons*Maximum content of exogenous TG's is seen in - Chylomicrons*Maximum content of endogenous TG's is seen in - VLDL*Maximum cholesterol is seen in - LDL*Chylomicrons are the lipoprotein particles lowest in density and largest in size, and contains the highest percentage of lipids and the smallest percentage of proteins. VLDLs and LDLs are successively denser, having higher ratios of protein to lipid. HDL particles are the densest.Composition of the lipoproteinsLipoproteinSourceDiameter (nm)Density (g/mL)CompositionMain Lipid ComponentsApolipoproteinsProtein (%)LipidChylomicronsIntestine90-1000<0.951-298-99TriacylglycerolA-I, A-II, A-IV,l B-48, C-I, C-II, C-III, EChylomicron remnantsChylomicrons45-150< 1.0056-892-94Triacylglycerol, phospholipids,cholesterolB-48, EVLDLLiver (intestine)30-900.95-1.0067-1090-93TriacylglycerolB-100, C-I, C-II, C-IIIIDLVLDL25-351.006-1.0191189Triacylglycerol, cholesterolB-100, ELDLVLDL20-251.019-1.0632179CholesterolB-100HDLLiver, intestine,VLDL, chylomicrons20-251.019-1.0633268Phospholipids, cholesterolA-I, A-II, A-IV, C-I, C-II, C-III, D,2 EHDL1HDL210-201.063-1.1253367HDL35-101.125-1.2105743PreP-HDL3<5>1.210 A-IAlbumin/free fatty acidsAdipose tissue >1.28199-1Free fatty acids 1 Secreted with chylomicrons but transfers to HDL.Associated with HDL2 and HDL3 subtractions.3Part of a minor fraction known as very high density lipoproteins (VHDL).